Which of the following statments about the biodisposition of penicillins and cephalosporins is NOT accurate?
1. Oral bioavailability is affected by lability to gastric acid
2. Procaine penicillin G is used intramuscular injection
3. Renal tubular reabsorption of beta-lactams is inhibited by probenecid
4. Nafcillin and ceftriaxone are eliminated minly biliary secretion

Correct answer: 3. Renal tubular reabsorption of beta-lactams is inhibited by probenecid

Explanation: (Ref: KDT 6/e p697) Probenecid inhibits renal tubular secretion of penicillins (not reabsorption) Beta lactams eliminated by biliary route are: - Ampicillin - Nafcillin - Ceftriaxone - Cefoperazone Penicillin G has to be given by i.m. route because it is broken down by gastric acid (decreases oral bioavailability).